Rise in body temperature during ovulation is due to :
1. Estrogen
2. Progesterone
3. LH
4. FSH

Correct answer: 2. Progesterone

Explanation: Progesterone is known to exert a thermogenic effect on the body Record of basal body temperature daily after waking up in the morning helps in knowing the time of ovulation Ref: Shaw Gynecology 17 e pg 254.